The modernized version of the Hippocratic oath is
1. Declaration of Tokyo
2. Declaration of Helsinki
3. Declaration of Geneva
4. Declaration of Alma-Ata

Correct answer: 3. Declaration of Geneva

Explanation: The Declaration of Geneva (Physician's Pledge) was adopted by the General Assembly of the World Medical Association at Geneva in 1948. The Declaration of Geneva was intended as a revision of the Hippocratic Oath. Ref: Krishan Vij textbook of forensic medicine, 5th edition pg : 347